Which is the treatment for Genital warts in pregnancy?
1. Podophyllin
2. Podofilox
3. Cryotherapy
4. Imiquimod

Correct answer: 3. Cryotherapy

Explanation: Condylomatous warts may grow rapidly during pregnancy. Warts at the vaginal introitus may bleed during delivery and predispose the newborn to genital warts or recurrent respiratory papillomatosis (RRP). During pregnancy, electrocoagulation, cryotherapy, or CO2 laser therapy should be administered at approximately 32 weeks to avoid, on one hand, post-treatment necrosis, which may last as long as 4-6 weeks, and to prevent, on the other hand, recurrence if treated too early. Podophyllin, podofilox, and imiquimod should not be used during pregnancy. Ref: Bornstein J. (2013). Chapter 39. Benign Disorders of the Vulva & Vagina. In A.H. DeCherney, L. Nathan, N. Laufer, A.S. Roman (Eds), CURRENT Diagnosis & Treatment: Obstetrics & Gynecology, 11e.